In traumatic cases, shock is most likely due to:-
1. Injury to intra-abdominal solid organ
2. Head injury
3. Septicemia
4. Cardiac failure

Correct answer: 1. Injury to intra-abdominal solid organ

Explanation: In traumatic cases, shock is most likely due to Injury to intra-abdominal solid organ. HYPOVOLEMIC SHOCK MC type of shockQ Causes of hypovolemic shock: Blood lossQ(Trauma, bleeding) Loss of plasma due to extravascular fluid sequestration in burnsQ Loss of body sodium & water (diarrhea & vomitingQ)